Dilated cardiomyopathy, gene altered is?
1. Dystrophin
2. Titin
3. Sarcomere
4. Mitochondrial genes

Correct answer: 2. Titin

Explanation: Ans. (b) Titin(Ref: Robbins 9th/pg 565-566; 8th/pg 573-574)DCM is familial in at least 30% to 50% of casesAutosomal dominant inheritance is the predominant pattern;Most common- mutations in TTN, a gene that encodes titin (20% of all cases of DCM)